Lens is derived from?
1. Endoderm
2. Surface ectoderm
3. neural crest cells
4. none of the above

Correct answer: 2. Surface ectoderm

Explanation: Ans. (b) Surface ectodermRef : Yanoff and ducker-ophthalmology 2/e, p 22-23, parson 20/ey p 5, Khurana 4/e, p 10